In forceful inversion of foot, fracture of the tuberosity of 5th metatarsal is due to pull exerted by which tendon
1. Peroneus longus
2. Peroneus brevius
3. Peroneus tertius
4. Extensor digitorum

Correct answer: 2. Peroneus brevius

Explanation: PERONEUS BREVIS:- Origin-lateral surface of shaft of fibula. Insertion-lateral side of base of 5th metatarsal. Nerve supply-superficial peroneal nerve. Action- evertor of foot. Fracture of tuberosity of 5 th metatarsal bone occurs due to pull of Peroneus brevis muscle.Fracture of 2nd, 3rd, 4th or 5th metatarsal bones is common in soldiers and policemen- march fracture. {Reference: BDC 6E pg no.36}